During normal conversation, sound heard at 1 meter distance is:
1. 80dB
2. 60dB
3. 90dB
4. 120dB

Correct answer: 2. 60dB

Explanation: Whisper 30 Db Normal conversation 60 Db Shout 90 Db Discomfort of the ear 120 Db Pain in the ear 130 dB